True about proximal fragment In supratrochantric fracture is
1. Flexion
2. Abduction
3. External rotation
4. All of the the above

Correct answer: 4. All of the the above

Explanation: The peritrochanteric fracture is one of the most serious causes of mortality and morbidity in the elderly.
Subtrochanteric fractures account for approximately 10-30% of all peritrochanteric fractures, and they affect persons of all ages.
1,2 The subtrochanteric region of the femur is generally recognized to be the area of the femur below the inferior border of the lesser trochanter, extending distally 7.5 cm to the junction of the proximal and middle third of the femur.3 Most frequently, these fractures are seen in two patient populations, namely older osteopenic patients after a low-energy fall and younger patients involved in high-energy trauma.1-3 In elderly patients, minor slips or falls that lead to direct lateral hip trauma are the most frequent mechanism of injury.
This age group is also susceptible to metastatic disease that can lead to pathologic fractures.
In younger patients, the mechanism of injury is always high-energy trauma, either direct or from axial loading (e.g., a fall from height), which often creates a comminuted fracture.